Which of the following foreign body can not be observed as such in retinal coats and need to be removed
1. Nickel
2. Chromium
3. Aluminium
4. Copper

Correct answer: 4. Copper

Explanation: Inert Materials that can be observed inside eye: Nickel Chromium Aluminium Gold Plastic Copper has toxic potential for the ocular tissues and has to be removed